A 4-year-old child having palpable abdominal mass and hypertension with sweating and diarrhea is due to:
1. Neuroblastoma
2. Nephroblastoma
3. PCKD (Polycystic kidney disease)
4. All of the above

Correct answer: 1. Neuroblastoma

Explanation: Neuroblastoma produce catecholamines- cause increased sweating and hypertension, and release vasoactive intestinal peptide, causing a profound secretory diarrhea. Nephroblastoma- abdominal mass, fever, hypertension, hematuria PCKD- enlarged kidneys, hypertension, renal failure